Ureteric bud arises from ?
1. Paramesonephric Dut
2. Mullerian duct
3. Mesonephric duct
4. Mesonephric tubule

Correct answer: 3. Mesonephric duct

Explanation: Genital duct systemDuring 5th and 6th weeks, both male and females have two genital duct systems, deriverd from mesoderm :Mesonephric duct (wolffian duct) and mesonephric tubules.Paramesonephric duct (Mullerian duct).Mesonephric duct is the main genital duct in males as it gives rise to mainly male genital system :